Endolymphatic decompression is done in
1. Tinnitus
2. Acoustic neuroma
3. Meniere's disease
4. Endolymphatic fistula

Correct answer: 3. Meniere's disease

Explanation: Decompression of endolymphatic sac is done as a conservative procedure as a part of the surgical treatment of Meniere's disease. Ref: Diseases of EAR, NOSE and THROAT by PL Dhingra 7th Edition page no.115